Fincham's test differentiates cataract from -
1. Conjunctivitis
2. Iridocyclitis
3. Open angle Glaucoma
4. Ac. Congestive Glaucoma

Correct answer: 4. Ac. Congestive Glaucoma

Explanation: The halos of glaucoma and immature cataract may be differentiated by Fincham's test in which a stenopaeic slit is passed across the pupil . During this test , glaucomatous halo remains intact, while a halo due to cataract is broken up into segments . Ref: Comprehensive Ophthalmology AK Khurana 6th edition chapter-10 page no: 244